Which one of the following inhalational anaesthetic agents has rapid onset and rapid recovery actions and is most desirable for use day case (out patient) surgical procedures –
1. Ether
2. Halothane
3. Trichloroethylene
4. Desflurane

Correct answer: 4. Desflurane

Explanation: Desflurane has least B : G partion coefficient fastest induction & recovery.